A young male falls from 15 feet and he gets a perineal hematoma and suprapubic mass. There is Injury to:
1. Urinary bladder
2. Anus
3. Urethra
4. Rectus abdominiis

Correct answer: 3. Urethra

Explanation: Ans. (c) UrethraBailey 26th Edition, Page 1361* Ruptured bulbar urethra causes perineal hematoma typically with butterfly distribution. Retention of urine is typically present